Which is the most important adhesion molecule for diapedesis?
1. CD34
2. CD 31
3. P-selection
4. E-selection

Correct answer: 2. CD 31

Explanation: CD 31 (PECAM-1) (Platelet endothelial cells adhesion molecule) - It is most important adhesion molecule for Diapedesis. It helps in leukocyte migration through endothelium.